Collagen found in hyaline cartilage is ?
1. Type I
2. Type II
3. Type IV
4. Type v

Correct answer: 2. Type II

Explanation: Ans. is 'b' i.e., Type II